Which of the following antihypertensive cause sedation
1. Clonidine
2. Hydralizine
3. Losartan
4. Amilodipine

Correct answer: 1. Clonidine

Explanation: Refer kDT 6/e p546 The classic centrally acting antihypertensives such as clonidine, guanfacine and alpha-methyl-DOPA ( its active metabolite alpha-methyl-noradrenaline) induce peripheral sympathoinhibition and a fall in blood pressure as a result of alpha2-adrenoceptor stimulation in the brain stem. These drugs have lost much of their clinical importance because of their unfavourable side-effects (sedation, dry mouth, impotence), which are also mediated by alpha2-adrenoceptors, although in other anatomical regions